Treatment of displaced transverse fracture of patella -
1. POP
2. Tension band wiring
3. Screw
4. Patellectomy

Correct answer: 2. Tension band wiring

Explanation: Treatment of choice for displaced two-part fracture is TBW.